A laminate impression technique utilizes:
1. Syringe agar and chilled tray alginate
2. Syringe agar and tray agar
3. Syringe agar and impression compound
4. Chilled alginate and impression compound

Correct answer: 1. Syringe agar and chilled tray alginate